The term infantile polyarteritis nodosa was formerly used for
1. Goodpasteurs syndrome
2. Henoch schenon purpura
3. Kawasaki disease
4. Takaysaus arteritis

Correct answer: 3. Kawasaki disease

Explanation: Refer Robbins page no 510 Clinically infantile polyarteritis nodosa often ilia part of the spectrum of Kawasaki disease